Genital tuberculosis most common disseminates by?
1. Lymphatic
2. Hematogenous
3. Local spread
4. None

Correct answer: 2. Hematogenous

Explanation: Ans. (b) HematogenousRef: A comprehensive Textbook of Obstetrics and Gynecology BySadhana Gupta lsted p-215